Le Fort's fracture does NOT involve
1. Zygoma
2. Maxilla
3. Nasal bones
4. Mandible

Correct answer: 4. Mandible

Explanation: (D) Mandible # FRACTURES OF MAXILLA: They are classified into 3 types.> Le Fort I (transverse) fracture runs ab and parallel to the palate. It cross lower part of nasal septum, maxillary antra and the pterygoid plates.> Le Fort II (pyramidal) fracture through the root of nose, lacrimal bone, floor of orbit, upper part of maxillary sinus and pterygoid plates.> This fracture has some features common with the zygomatic fractures.> Le Fort III (craniofacial dysfunction): There is complete separation of facial bones from the cranial bones. The fracture line passes through root of nose, ethmofrontal junction, superior orbital fissure, lateral wall of orbit, frontozygomatic and temporozygomatic sutures and the upper part of pterygoid plates.> Mandibular fractures are not a part of Le Fort classification.